True about placental hormone is WE
1. hCS is diabetogenic
2. hCG rise 1/t nausea
3. Progesterone production require fetal steroidogenic tissue
4. Luteal - placental shift at 8-10 weeks

Correct answer: 3. Progesterone production require fetal steroidogenic tissue

Explanation: C i.e. Progesterone production require f eta steroidogenic tissue